Strength of Sewage can be assessed by All EXCEPT
1. Biological oxygen demand (BOD)
2. Chemical oxygen demand (COD)
3. Suspended solids
4. Coliform count

Correct answer: 4. Coliform count

Explanation: Sewage - Contains 99.9% water Strength is assessed by 1. BOD (Biological O2 Demand) - Best method O2 absorbed by sewage at 200 C 2. COD (Chemical O2 demand) 3. Suspended solids